Which of the following anti-TB drug requires acidic medium for action?
1. Isoniazid
2. Rifampicin
3. Pyrazinamide
4. Ethambutol

Correct answer: 3. Pyrazinamide

Explanation: Pyrazinamide requires acidic medium for action and active only against intracellular mycobacteria.